Wilms tumor - most common presenting symptom-
1. Haematuria
2. Asymptomatic abdominal mass
3. Abdominal pain
4. Headache

Correct answer: 2. Asymptomatic abdominal mass

Explanation: Ans. is 'b' i.e., Asymptomatic abdominal massWilm's tumor (Nephroblastoma)Most common malignant tumor of kidney, 80% of tumor present below 5 year of age.PresentationAsymptomatic abdominal mass (M. C.).Haematuria (10-25%).Hypertension (25%).Abdominal pain (30%).Fever (20%).